All of the following are seen in deep vein thrombosis except -
1. Pain
2. Disco] ouration
3. Swelling
4. Claudication

Correct answer: 4. Claudication

Explanation: Ans. is 'd' i.e., Claudication Claudication occurs in arterial occlusion